True statement about Omeprazole is -
1. It may cause Leomyosarcoma
2. It is a nitrosource
3. May induce carcinoid tumours in rats
4. It is more frequently used by I.V. route than orally

Correct answer: 3. May induce carcinoid tumours in rats

Explanation: Ans. is 'c' i.e., May induce Carcinoid tumor in Rats "Because of marked and long lasting acid suppression, compensatory hypergastrinemia has been observed. This has been found to induce proliferation of parietal cells and gastric carcinoid tumours in rats, but not in human beings".